The type of embolism seen in fractures of long bones:
1. Thrombo embolism
2. Air embolism
3. Fat embolism
4. Amniotic fluid embolism

Correct answer: 3. Fat embolism